Which of these is a conservative mutator:
1. Glutamic acid- glutamine
2. Histidine-glycine
3. Alanine- leucine
4. Arginine-aspartic acid

Correct answer: 3. Alanine- leucine

Explanation: C i.e. Alanine - leucine